Surgical anaesthesia is –
1. Stage I
2. Stage II
3. Stage III
4. Stage IV

Correct answer: 3. Stage III

Explanation: Stage III of anaesthesia is also called stage of surgical anaesthesia because most surgeries are done in this stage.